Sun burst appearance is seen in:
1. Osteosarcoma
2. Osteopetrosis
3. Osteomyelitis
4. Osteo-radionecrosis

Correct answer: 1. Osteosarcoma

Explanation: Ans. (a) OsteosarcomaRef: Maheshwari 5th ed. / 239* Osteosarcoma is an aggressive malignant neoplasm arising from primitive transformed cells of mesenchymal origin (and thus a sarcoma) that exhibit osteoblastic differentiation and produce malignant osteoid.* Sun Ray Appearance It is the most common radiological finding of primary bone cancer.* If the lesion grows rapidly but steadily, the periosteum will not have enough time to lay down thin shell of bone, and in such cases, the tiny fibers that connect the periosteum to the bone (Sharpens fibers) become stretched out perpendicular to the bone.* When these fibers ossify, they produce a pattern sometimes called "sunburst"periosteal reaction.